Which of the following is a histological feature of Whipple's disease -
1. Infiltration of histocytes in the lamina propria
2. Granuloma in the lamina
3. Macrophages with PAS (+) material inside the lamina propria
4. Eosinophils in the lamina propria

Correct answer: 3. Macrophages with PAS (+) material inside the lamina propria